Which of the following should not be used in reducing intracranial pressure in head trauma patients
1. Furosemide
2. Thiopentone
3. Hydrocortisone
4. Mannitol

Correct answer: 3. Hydrocortisone

Explanation: Steroids in severe head injury are associated with increased mortality and should not be used.